Which of the following is non-keratinocyte?
1. Langhan's cell
2. RBC
3. Langerhans cell
4. Grey cell

Correct answer: 3. Langerhans cell